TCA is not controlled by ?
1. NADH
2. ATP
3. NADPH
4. ADP

Correct answer: 3. NADPH

Explanation: Ans. is 'c' i.e., NADPH Enzyme Allosteric inhibitorsCitrate synthaseATP, long chain acyl-CoA, succinyl-CoAIsocitrate dehydrogenase ADPATP, NADHa-ketoglutarate dehydrogenaseNADH, succinyl CoA